Mayo's operation is done for ?
1. Spigelian hernia
2. Femoral hernia
3. Richer's hernia
4. Umbilical hernia

Correct answer: 4. Umbilical hernia

Explanation: Ans. is 'd' i.e., Umbilical hernia